All are manifestations of tuberous sclerosis, EXCEPT:
1. Retinal hamartomas
2. Pulmonary lymphangioleiomyomatosis
3. Posterior embryotoxon
4. Renal angiomyolipomas

Correct answer: 3. Posterior embryotoxon

Explanation: Internal manifestations of tuberous sclerosis include seizures, intellectual disability, central nervous system (CNS) and retinal hamartomas, pulmonary lymphangioleiomyomatosis (women), renal angiomyolipomas, and cardiac rhabdomyomas. Ref:Harrisons Principles of Internal Medicine, 18th Edition, Page 410